Bilateral loss of sensation below a definite level of spinal cord is
1. Myelopathy
2. Myopathy
3. Neuropathy
4. Nephropathy

Correct answer: 1. Myelopathy